Which of the following structure in foetal life becomes ligamentum teres in adult life?
1. Umbilical artery
2. Umbilical vein
3. Ductus venosus
4. Portal radicles

Correct answer: 2. Umbilical vein

Explanation: The left umbilical vein persists as a channel that carries blood from the placenta through ductus venosus to the hepatic portion of the inferior venacava (IVC) while the right umbilical vein regresses. After birth, the left umbilical vein forms the ligamentum teres and the ductus venous the ligamentum venosum respectively.